A 67 year old lady is brought in by her 6 children saying that she has gone senile. Six months after her husband's death she has become more religious, spiritual and gives lot of money in donation. She is occupied in too many activities and sleep less. She now believes that she has a goal to change the society. She does not like being brought to the hospital and is argumentative on being questioned on her doings. The diagnosis is -
1. Acute manic excitement
2. Delusion
3. Schizophrenia
4. Depression

Correct answer: 1. Acute manic excitement

Explanation: This patient has :-

Decreased need for sleep (sleeps less)
Increased goal directed activities (occupied in too many activities)
Grandiosity (Has a goal to change the society)
Excessive involvement in pleasurable activities (gives lot of money in donation)

Diagnosis is Mania.